Rotigotine is -
1. Dopamine agonist
2. Dopamine antagonist
3. GABA agonist
4. GABA antagonist

Correct answer: 1. Dopamine agonist

Explanation: Ans. is 'a' i.e., Dopamine agonist Rotigotineo Rotigotine is a dopamine agonist drug and is indicated in the treatment of parkinosonism.o Rotigotine is intended to be delivered through transdermalpatches, so as to ensure a slow and constant dosage in a 24-hour period.o Side effects are--skin reaction at the patch site, nausea, vomiting, diziness, drowsiness, insomnia.